Absence of dynein
1. Immotile cilia syndrome
2. Rabies
3. Both
4. None

Correct answer: 1. Immotile cilia syndrome

Explanation: Absence of dynein causes immotile cilia syndrome, it leads to various complications in respiratory system like:bronchiectasis, sinusitis, situs invertus Ref:Guyton and Hall textbook of medical physiology 12th edition ,pag number, :8,9,14